Regimental badge anesthesia is due to lesion of:
1. Musculocutaneous nerve
2. Axillary nerve
3. Long thoracic nerve
4. Spinal accessory nerve

Correct answer: 2. Axillary nerve

Explanation: Ans. B. Axillary nerveThe axillary nerve or the circumflex nerve is a nerve of the human body, that originates from the brachial plexus (upper trunk, posterior division, posterior cord) at the level of the axilla (armpit) and carries nerve fibers from C5 and C6. The axillary nerve travels through the quadrangular space with the posterior circumflex humeral artery and vein. It supplies deltoid and teres minor.It continue as superior (or upper) lateral cutaneous nerve of arm, which sweeps around the posterior border of the deltoid and supplies the skin over the lower two-thirds of the posterior part of this muscle, as well as that covering the long head of the triceps brachii.The axillary nerve may be injured in anterior-inferior dislocations of the shoulder joint, compression of the axilla with a crutch or fracture of the surgical neck of the humerus. Injury to the nerve results in:a. Paralysis of the teres minor muscle and deltoid muscle, resulting in loss of abduction of arm (from 15-90 degrees), weak flexion, extension, and rotation of shoulder.b. Loss of sensation in the skin over a small part of the lateral upper arm (an area known as the regimental badge).